Which drug can be given subdermally ?
1. Nicotine
2. Fentanyl
3. GTN
4. Progesterone

Correct answer: 4. Progesterone

Explanation: Ans. is 'd' i.e., Progesterone Progesterone can be given in the form of subdermal implant. Subdermal contraceptive implants involve the delivery of a steroid progestin from polymer capsules or rods placed under the skin. The hormone diffuses out slowly at a stable rate, providing contraceptive effectiveness for 1-5 years.